Most common histological type of carcinoma of tongue:
1. Squamous cell carcinoma
2. Adeno carcinoma
3. Basal cell carcinoma
4. Transitional cell carcinoma

Correct answer: 1. Squamous cell carcinoma

Explanation: Ans. A: Squamous cell carcinoma Tongue development begins during the fourth embryonic week and develops from the region of the first 3-4 branchial arches. The tongue is supplied by the lingual arteries. Innervation of the tongue includes the lingual and hypoglossal nerves for sensation and movement and the sympathetic, parasympathetic, and special sensory fibers for salivation and taste ability. The most common histology finding in patients with malignant neoplasms of the base of the tongue is squamous cell carcinoma. SCC is the predominant histology for tumours arising in the oral cavity and oropharynx.